Friedreich's ataxia is usually not associated with
1. Acid-peptic disorder
2. Cardiovascular abnormalities
3. CNS abnormalities
4. Peripheral nerve involvement

Correct answer: 1. Acid-peptic disorder